Case of carcinoma cervix is found in altered sensorium and is having hiccups. Likely cause is:
1. Septicemia
2. Uremia
3. Raised ICT
4. None of the above

Correct answer: 2. Uremia

Explanation: Ans. is b i.e. Uraemia "The ultimate cause of death in their order of frequency and importance - uraemia cachexia associated with recurrent haemorrhage, infection and interference with nutrition, complication of treatment and remote metastasis to vital organs (rare)." Hiccups and altered sensorium are nonspecific signs of uraemia and so the likely cause in this case is uraemia. Also know : Uraemia in carcinoma cervix occurs when tumor involves ureter and results in blockage.